"Calibre" of fire arm is:
1. Distance between land and groove
2. Distance between two lands
3. Distance between two grooves
4. None

Correct answer: 2. Distance between two lands

Explanation: Distance between two lands